Which of the following are supratentorial tumors?
1. Craniopharyngioma
2. Medulloblastoma
3. Astrocytoma
4. Ependymoma

Correct answer: 1. Craniopharyngioma

Explanation: Ans. A. CraniopharyngiomaTumors arising from the brain are common in children. Certain genetic syndromes and familial factors increase the risk of occurrence of brain tumors. Over 2/3 of brain tumors in children are infratentorial. They can be classified as:* Cerebellar Tumors: Medulloblastoma, Astrocytoma* Brainstem Tumors: Glioma of the brainstem, Ependymoma of the IV ventricle* Supratentorial tumors: Craniopharyngioma, Glioma of the cerebral hemispheres, hypothalamic glioma, Glioma of optic nerve.